Waterlow classification of malnutrition in child takes into account ?
1. Weight for height (wasting)
2. Height for age (stunting)
3. Weight for height (wasting) and height for age (stunting)
4. Percent of reference weight for age

Correct answer: 3. Weight for height (wasting) and height for age (stunting)